All are used for monitoring of air pollution except?
1. Haze coefficient
2. Air pollution index
3. Smoke index
4. Kanawati index

Correct answer: 4. Kanawati index

Explanation: Ans. is 'd' i.e., Kanawati index Monitoring of air pollution Monitoring of air pollution is done by : - Sulphur dioxide. Gritt and dust measurement. Co-efficient of haze. Air pollution index. Smoke or soiling index